Vaginal defence is lost:
1. Within 10 days of birth
2. After 10 days of birth
3. During pregnancy
4. At puberty

Correct answer: 2. After 10 days of birth

Explanation: Vaginal pH: newborn infant -4.5 to 7 puberty -alkaline to acidic reproductive age -4 to 5.5 pregnancy -3.5 to 4.5 post menopausal -6 to 8 Acidity of vagina is because of doderlein's bacilli. It is a rod-shaped gram-positive bacillus which grows anaerobically on acid media. It appears in the vagina 3-4 days after birth and disappears after 10-14 days. It appears again at puberty and disappears after menopause. Its function is to convert glycogen present in vaginal mucosa into lactic acid so that the vaginal PH is maintained towards acidic side, which prevents other pathogenic organisms from invading the vagina. Ref: D.C Dutta's Textbook of GynaecologyPg no:7,6th edition